Stages seen in peripheral smear of falciparuma) Schizontsb) Gametocytesc) Accoled) Ring forme) Trophozite
1. abc
2. acd
3. bcd
4. bd

Correct answer: 3. bcd

Explanation: Mature, compact trophozoites in a thin blood smear. Compact trophozoites in a thinblood smear.
P. falciparum schizonts are seldom seen in peripheral blood. Mature schizonts have 8 to 24 small merozoites;
dark pigment, clumped in one mass